Levine sign is seen in-
1. Stable angina pectoris
2. Acute bronchial asthma
3. Hemolytic anemia
4. Gastroesophageal reflux disease

Correct answer: 1. Stable angina pectoris

Explanation: Ans. is 'a' i.e., Stable angina pectoris Stable Angina Pectoris* This episodic clinical syndrome is due to transient myocardial ischemia.* Males constitute -70% of all patients with angina pectoris and an even greater proportion of those less than 50 years of age.* The typical patient with angina is a man >50 years or a woman >60 years of age who complains of episodes of chest discomfort, usually described as heaviness, pressure, squeezing, smothering, or choking and only rarely as frank pain.* When the patient is asked to localize the sensation, he or she typically places a hand over the sternum, sometimes with a clenched fist, to indicate a squeezing, central, substernal discomfort (Levine's sign).* Angina is usually crescendo- decrescendo in nature, typically lasts 2 to 5 min, and can radiate to either shoulder and to both arms (especially the ulnar surfaces of the forearm and hand). It also can arise in or radiate to the back, interscapular region, root of the neck, jaw, teeth, and epigastrium.* Angina is rarely localized below the umbilicus or above the mandible. A useful finding in assessing a patient with chest discomfort is the fact that myocardial ischemic discomfort does not radiate to the trapezius muscles; that radiation pattern is more typical of pericarditis.